Sublingual chlorhexidin is called
1. Atridox
2. Arestin
3. periotest
4. Periochip

Correct answer: 4. Periochip